AVN is seen in:
1. Navicular fracture
2. Talus fracture
3. Calcaneal fracture
4. Cuboid fracture

Correct answer: 2. Talus fracture

Explanation: Ans. B i.e. Talus fracture Fracture through neck of femur, neck of talus and waist of Scapho d can lead to AVN